A 1–year–old child presented with a swelling in the left flank with episodes of flushing, diarrhea, sweating and bone pain. The diagnosis is –
1. Neuroblastoma
2. Wilm's tumor
3. Medulloblastoma
4. Pheochromocytoma

Correct answer: 1. Neuroblastoma

Explanation: Clinical manifestations of neuroblastoma 

Because neuroblastoma arises from neural crest derivatives of sympathetic nervous system, it produces catecholamines.
So, it may cause clinical feature due to : --> 1. Primary tumor          2. Metastais          3. Catecholamine secretion